Prognosis is poor for furcation involvement of
1. Maxillary 1st premolar
2. Maxillary 2nd molar
3. Mandibular 1st premolar
4. Maxillary 2nd premolar

Correct answer: 1. Maxillary 1st premolar